All of the following are signs of good attachment during breast feeding EXCEPT?
1. Baby's mouth is wide open
2. Baby's lower lip is inverted
3. Upper areola is more visible than lower
4. Baby's chin touching the breast

Correct answer: 2. Baby's lower lip is inverted

Explanation: Signs Of Good Attachment While Breast Feeding: Mouth wide open Entire areola in baby's mouth except small upper part that may be visible Lower lip everted Chin should touch Mother's breast